X-ray finding in cholesteatoma is
1. Honeycombing of mastoid
2. Sclerosis with cavity in mastoid
3. Clear cut distinct bony partition between cells
4. None of the above

Correct answer: 2. Sclerosis with cavity in mastoid

Explanation: X-ray mastoids (Schuller's view) is done in CSOMIt may show cellular or sclerotic pattern in tubotympanic CSOMIn cholesteatoma, Sclerosis with a cavity may be seen.Differential diagnosis of a cavity on mastoid X-ray:1. Mega antrum2.Post mastoidectomy cavity3.Cholesteatoma4.Multiple myeloma5.Tuberculosis6.Cholesterol granulomaRef: Hazarika; 3rd ed; Pg 158